The enzyme involved in the activation for fatty acids beta oxidation is?
1. Thiophorase
2. Thiokinase
3. Thiolase
4. Thioesterase

Correct answer: 2. Thiokinase

Explanation: Fatty acids must first be converted to an active intermediate before oxidation. This is the only step in the oxidation of a fatty acid that requires energy from ATP. In the presence of ATP and coenzyme A, the enzyme acyl-CoA synthetase (thiokinase) catalyzes the conversion of fatty acid (or FFA) to an "active fatty acid" or acyl-CoA, using one high-energy phosphate and forming AMP and PPi. The PPi is hydrolyzed by inorganic pyrophosphatase with the loss of a further high-energy phosphate, ensuring that the overall reaction goes to completion. Acyl-CoA synthetases are found in the endoplasmic reticulum, peroxisomes, and on the outer membrane of mitochondria.